One of the following nerves is not related to parotid gland
1. Temporal branch of facial nerve
2. Zygomatic branch of facial nerve
3. Buccal branch of facial nerve
4. Posterior superior alveolar branch of maxillary nerve

Correct answer: 4. Posterior superior alveolar branch of maxillary nerve

Explanation: Posterior superior alveolar nerve is not related to parotid gland.